Which of the following is false about pancreatic divisum?
1. Recurrent pancreatitis
2. IOC is ERCP
3. Treatment is spincterectomy
4. Congenital anomoly

Correct answer: 2. IOC is ERCP

Explanation: IOC of pancreatic divisum is MRCP.